Drugs causing aplastic anaemia include:
1. Chlorpromazine
2. Allopurinol
3. Diclofenac
4. All of the above

Correct answer: 4. All of the above

Explanation: Common drugs & toxins implicated in etiology of aplastic anemia: Drugs Chemicals A. Dose-dependent action - Cytotoxic drugs Benzene B. Idiosyncratic action Insecticides (Organophosphates, organochlorine) Antibacterials (Sulphonamides, Chloramphenicol) Pentachlorophenol (an antibacterial, fungicide & wood-preservative) Anti-inflammatory drugs (Phenylbutazone, Indomethacin, piroxicam, Diclofenac, Naproxen) Antirheumatics (Gold, penicillamine) Antiepileptics (Phenytoin, Carbamazepine) Antithyroids Tranquilizers (Chlorpromazine) Others-Furosemide, Allopurinol